Sunflower type cataract is characteristically in –
1. Chalcosis
2. Diabetes
3. Stargardt's disease
4. Congenital syphilis

Correct answer: 1. Chalcosis

Explanation: Sunflower cataract is seen in Wilson's disease, chalcosis (copper deposition), penetrating trauma with retention of copper or its alloy.